Arsenic is used in treatment of -
1. Acute promyelocytic leukemia
2. A.L.L.
3. CML
4. Transient myeloproliferative disorder

Correct answer: 1. Acute promyelocytic leukemia